An infant with severe dehydration secondary to diarrhea suddenly presents with proteins and blood in urine. The most probable diagnosis is –
1. Renal vein thrombosis
2. Pyelonephritis
3. Acute glomerulonephritis
4. Lower nephrosis

Correct answer: 1. Renal vein thrombosis